Association of sexual precocity, multiple cystic bone lesions and endocrinopathies are seen in –
1. McCune–Albright's syndrome
2. Granulosa cell tumor
3. Androblastoma
4. Hepatoblastoma

Correct answer: 1. McCune–Albright's syndrome

Explanation: McCune - Albright syndrome is characterized by :

Cafe - au - lait spots .
Precocious puberty.
Polycystic fibrous dysplasia of skeleton.
Endocrinopathy —> Hypothyroidism.